After head injury, biconvex, lenticular shape hematoma in CT scan is characterstic of which of the following ?
1. Extradural haemorrhage
2. Subdural haemorrhage
3. Intracerebral hematoma
4. Diffuse-axonal injury

Correct answer: 1. Extradural haemorrhage

Explanation: Ans is 'a' ie Extradural haemorrhage CT scan (non-contrast) is the best diagnostic method to evaluate a head injury pt. (better than MRI) On CT scan ? Extradural haemorrhage appears as biconvex lentiform opacity. Subdural haemorrhage appears as concavoconvex crescentic opacity. Intracerebral blood appears on small foci, typically at grey/white matter interface, or more centrally in the white matter.